In an aphakic eye the anterior focal point from the anterior surface of cornea is about:
1. 15 mm
2. 21 mm
3. 23 mm
4. 31 mm

Correct answer: 3. 23 mm

Explanation: Ans. 23 mm